Selective medium for meningococcal infection is
1. DCA
2. Bllood agar
3. LJ medium
4. Thayer - main medium

Correct answer: 4. Thayer - main medium

Explanation: Selective media for Neisseria meningitis is Thayer - Main media. Contain vancomycin, colistin and nystatin. These antimicrobials will suppress the growth of other organisms which inhibits the growth of Meningococci. Reference: Textbook of microbiology; Anathanarayan & paniker's 10th edition, pg no: 231